In triage color code, yellow signifies:
1. Minimal treatment is required.
2. Delayed treatment.
3. Emergency treatment.
4. Less chances of survival.

Correct answer: 2. Delayed treatment.

Explanation: T1 RED: Emergency treatment.
T2 YELLOW: Delayed treatment.
T3 GREEN: Minimal treatment is required.
T4 BLUE/ BLACK: Less chances of survival.